Where is the 'Foramen of Winslow' located anatomically?
1. Between greater and lesser sac
2. At hilum of liver
3. Transverse cervical ligament of uterus
4. Pouch of Douglas

Correct answer: 1. Between greater and lesser sac

Explanation: The lesser omentum attaches between the liver, stomach, and proximal portion of the duodenum. It forms a sac known as the omental bursa, which forms a subdivision of the peritoneal cavity known as the lesser sac. The greater sac is the remaining part of the peritoneal cavity. The greater and lesser sacs communicate with each other through the epiploic foramen (of Winslow). Ref: Morton D.A., Foreman K.B., Albertine K.H. (2011). Chapter 8. Serous Membranes of the Abdominal Cavity. In D.A. Morton, K.B. Foreman, K.H. Albertine (Eds), The Big Picture: Gross Anatomy.